Christmas tree cataract is seen in?
1. Diabetes
2. Atopic Dermatitis
3. Myotonic dystrophy
4. Rubella

Correct answer: 3. Myotonic dystrophy

Explanation: Presenile cataract occurs in patients with atopic dermatitis (stellate opacities mostly posterior), myotonic dystrophy (christmas tree cataract) and GPUT & GK enzyme deficiency. Reference: A K Khurana, 5th Edition, Page 95